All of the following are branches of celiac trunk EXCEPT
1. Right gastric artery
2. Inferior pancreaticoduodenal artery
3. Cystic artery
4. Left gastroepiploic artery

Correct answer: 2. Inferior pancreaticoduodenal artery

Explanation: Inferior pancreatico-duodenal artery is a branch of the superior mesenteric (not celiac) artery.Celiac trunk is the artery of the foregut. It supplies all derivatives of the foregut that lie in the abdomen. Branches - 1. Left gastric artery - smallest of the three. It gives off-a. Two or three oesophageal branches at the cardiac end of the stomach. b. Numerous gastric branches along the lesser curvature of the stomach 2. Common hepatic artery - gives off-a. The gastroduodenal artery- the gastroduodenal artery runs downwards behind the first part of duodenum and divides at its lower border into the right gastroepiploic artery and superior pancreaticoduodenal arteries. b. The right gastric artery c. The cystic artery 3. Splenic artery a. Pancreatic branches b. Short gastric arteries c. Left gastroepiploic arteries